Teardrop sign is seen in
1. Fracture of zygomatic arch
2. Fracture of maxilla
3. Fracture of mandible
4. Blow out fracture

Correct answer: 4. Blow out fracture

Explanation: In 'blowout fractures' or fractures of orbital floor, x-ray shows a convex opacity bulging into the antrum from above. This occurs because of the herniation of orbital contents into the antrum. This sign is known as teardrop sign or teardrop opacity. Ref: Textbook of diseases of ENT; PL Dhingra, 7th edition, pg no. 206